Knudson's two stage hypothesis is for:
1. Glaucoma
2. Retinoblastoma
3. Optic Glioma
4. Meningioma

Correct answer: 2. Retinoblastoma

Explanation: Ans. (b) RetinoblastomaRef Kanski 7/e, p. 520Deletion or inactivation of RB gene by two mutations (Knudson's two hit hypothesis) results in occurrence of retinoblastoma.